All of the following nerves supply auricle of ear EXCEPT?
1. Greater auricular nerve
2. Lesser petrosal nerve
3. Auriculotemporal nerve
4. Lesser Occipital nerve

Correct answer: 2. Lesser petrosal nerve

Explanation: Ans: (b) Lesser petrosal nerveRef: Dhingras ENT 6th ed./4NERVE SUPPLY OF AURICLE/P1NNALateral Surface* Greater Auricular nerve* Vagus (Arnold's nerve) + Facial Nerve: supplies concha* Auriculotemporal nerveMedial Surface* Lesser occipital nerve: supplies upper l/3rd* Greater auricular nerve: supplies lower 213rd* Vagus (Arnold's nerve) + Facial nerve: supplies conchal protrusion medially (see Image)